Histological appearance of scleroderma include all except
1. Extensive fibrosis of upper 1/3 of the dermis
2. Decreased adnexal structure.
3. Homogenization of collagen
4. Increased dermis thickness

Correct answer: 1. Extensive fibrosis of upper 1/3 of the dermis

Explanation: Ans: A Extensive fibrosis of upper 1/3 of the dermis Mucin deposition is a feature of metabolic diseases like pretibial myxedema, scleroderma and lichen myxedematosis. Microscopy appearance of scleroderma- Thinning of epidermis, extensive fibrosis of lower 2/3 of dermis, replacement of subcutaneous fat, homogenization of collagen and decreased adnexal structure.